Birth weight doubles by?
1. 3 months
2. 5 months
3. 9 months
4. 12 months

Correct answer: 2. 5 months

Explanation: Ans. (b) 5 monthsRef O.P Ghai 8th ed/4Birth weight doubles at 5 months, triples in an year and is four times at 2 years and becomes 5 times at 3 years.Note: Newborns lose 10% of body weight in first ten days due to loss of extracellular water, after which they gain 25-30gms per day for first 3 months of life.